A very preterm baby on 30 mL/kg of enteral feeding developed sudden severe abdominal distension with visible bowel loops on day 6 of life. The baby also showed temperature instability and lethargy. s-ray of the abdomen showed portal venous gas. The staging of NEC is:
1. lb
2. 2a
3. 2b
4. 3a

Correct answer: 3. 2b

Explanation: Ans. c. 2b